The operative procedure known as "microfracture" is done for the
1. Delayed union of femur.
2. Non union of tibia
3. Loose bodies of ankle joint
4. Osteochondral defect of femur

Correct answer: 4. Osteochondral defect of femur

Explanation: D i.e. Osteochondral defect of femur Chondral & osteochondral fractures (osteochondritis dessicans) present clinically with meniscal symptoms of locking, catching & giving way of the knee. Arthroscopy is investigation of choice and preferred way of treatment All loose & overhanging pieces of cartilage must be removed back to a stable base. The base may be drilled, abraded or microfracturedQ to bleeding bone that presumably recruit-pleuripotent stem cells to regenerate cartilage. Osteochondral autograft transplant should be considered.